Ovary develop from:
1. Mullerian duct
2. Genital ridge
3. Genital tubercle
4. Mesonephric duct

Correct answer: 2. Genital ridge

Explanation: Ans. is b, i.e. Genital ridgeRef: Dutta Gynae 8th/ed, p38Male and female derivatives of embryonic urogenital structures.Part of female genital systemOriginates fromOvaryGenital ridgeFallopiantubesUterus CervixUpperpartofvagina [?][?][?][?][?][?][?][?][?] Mullerian/paramesonephric ductLower part of vaginaSinovaginal bulb/urogenital Sinus